Flask shaped ulcers are seen associated with:
1. Bacillary dysentery
2. Amoebiasis
3. Typhoid
4. Tuberculosis

Correct answer: 2. Amoebiasis